Pappu, a 49-year male complained of sudden onset of palpitation and apprehension. He is sweating for last 10 minute and fears of impending death. Diagnosis is -
1. Hysteria
2. Cystic fibrosis
3. Panic attack
4. Generalized anxiety disorder

Correct answer: 3. Panic attack